Lithium most commonly used in:
1. Bipolar disorder
2. Depressive disorder
3. Personality disorder
4. Headache

Correct answer: 1. Bipolar disorder

Explanation: Ans. (a) Bipolar disorderRef.: Harrison 19th ed. / 2717* DOC for prophylaxis of bipolar disorder- Lithium* DOC for acute mania: Lithium* Lithium can also be used in treatment of neutropenia and cluster headache and major depression episodes.* Therapeutic level of lithium: 0.8 - 1.2 mEq/L* Toxicity seen after >1.5 mEq/L* Most common side effect of lithium: Tremor* Lithium is contraindicated in 1st trimester of pregnancy. It can cause congenital heart defect- Ebstein anomaly.